Vitreous hemorrhage produces -
1. Sudden painless loss of vision
2. Sudden painful loss of vision
3. Gradual painless loss of vision
4. Gradual painful loss of vision

Correct answer: 1. Sudden painless loss of vision

Explanation: Ans. is 'a' i.e., Sudden painless loss of vision SuddenGradualPainfulPainlessPainfulPainlesso Acute congestive (angle closure) glaucomao Acute iridocyclitis (uveitis)o Chemical & mechanical injury to eyeballo Endophthalmitiso Optic neuritiso Macular edemao CRAO (central retinal artery' occlusion)o CRVO (central retinal vein occlusion)o Central serous retinopathyo Retinal detachmento Exudative Age Related Macular Degereration (ARMD)o Vitreous & retinal haemorrhageo Methyl alcohol amblyopiao Subluxation or dislocation of lenso Corneal ulcerationo Chronic simple glacoumao Chronic iridocyclitis (uveitis)o Progressive pterygiumo Corneal dystrophyo Comeal degenerationo Cataract (development & senile)o Chorioretinal degenerationo Dry type- Age related macular degeneration (ARMD)o Diabetic retinopathyo Refractive errorso Presbyopia